Double bubble sign on X-Ray is seen in:
1. Duodenal atresia
2. Oesophageal atresia
3. Colonic atresia/Hirschprung's disease
4. Pyloric stenosis

Correct answer: 1. Duodenal atresia

Explanation: A i.e. Duodenal atresia